Pautrier's micro-abscess is a histological feature of-
1. Sarcoidosis
2. Tuberculosis
3. Mycosis fungoides
4. Pityriasis Lichenoides Chronica

Correct answer: 3. Mycosis fungoides

Explanation: Ans. is 'c' i.e., Mycosis fungoides Pautrier's microabscesses is a histopathological characteristics of mycosis fungoides.Pautrier's micro abscesses * It is an intraepidermal collection of atypical lymphocytes and band of lymphoid cells in the upper dermis. More on mycosis fungoidesIt is a malignant tumour of dermis.It is a lymphoma of helper T lymphocytes of skin.May be associated with HTLV -1 Clinical features of mycoses FungoidesThree clinical stages of mycoses Fungoides are recognised.Patch stageWell defined patches are presentmay be cigarette paper atrophy and poikiloderma.Plaque stage (iii) Tumour stage - Nodules appear on the plaque. Sites affected are:Covered parts of the body Lymph node involvementLymphadenopathy is common.InvestigationsPautrier's microabscess on biopsyTreatment of Pautrier's microabscessPatch stagePotent topical corticosteroids(Good response)ultraviolet BPsoralens UVA (PUVA)Plaque stageElectron beam therapy(Moderate response)PUVATopical nitrogen mustardTumour stageLow dose radiation for(Poor response)individual lesions chemotherapyAlso knowSezary syndrome - It is the erythrodermic variant of mycoses fungoides.The triad in this syndrome consists ofGeneralized cutaneous erythema and edema with extreme pruritus.LymphadenopathySezary cells (abnormal lymphocyte with large convoluted nuclei) circulating in blood.